Staph. aureus causes vomiting in 16-18 hours. The mechanism of action is
1. Stimulation of cy AMP
2. Vagal stimulation
3. Stimulation of cy GMP
4. Acts through ganglioside GM receptor

Correct answer: 2. Vagal stimulation

Explanation: "The mechanism by which the staphylococcus aureus causes vomiting is uncertain but may involve direct neural stimulation of the autonomic nervous system rather than a local effect on G.I.T mucosa".